In a syphilis patient, site which does not help in isolation of organism -
1. Gumma
2. Primary chancre
3. Mucosal patch
4. Maculopapular rash

Correct answer: 1. Gumma

Explanation: Demonstration of T.pallidum in gumma is very rare.